The route of administration of amyl nitrite in cyanide poisoning is:
1. Intramuscular
2. Intravenous
3. Intradermal
4. Inhalation

Correct answer: 4. Inhalation

Explanation: Ans. Inhalation amyl nitrite by inhalation, are all effective in reversing the lethal effects of cyanide poisoning. 0.3 mL ampule crushed and contents poured onto a gauze and placed in front of patient's mouth or endotracheal tube. DMAP and hydroxylamine hydrochloride are effective when given by the intramuscular route.